Disputed maternity can be solved by using the following tests except -
1. Blood grouping
2. HLA typing
3. Precipitin test
4. DNA fingerprinting

Correct answer: 3. Precipitin test

Explanation: Precipitin test is used to determine the species of the stain of blood under examination i.e. whether it belongs to human or either animal.
For setting disputed maternity/paternity, tests used are:-


Blood grouping - ABO, MN, RH system
HLA - Typing
DNA - Fingerprinting